Major hazard of having an ectopic testis:
1. Impotence
2. Carcinoma
3. Liable to injury
4. Hernia

Correct answer: 3. Liable to injury

Explanation: Ans. (c) Liable to injuryRef: Bailey and Love 27th Edition, Page 1499* Ectopic testis is a normal developed testis and located in ectopic site* Most common ectopic site is superficial inguinal pouch.* Most common complication is liability to trauma because of abnormal location.